Tinea capitis (endothrix) is caused by
1. Epidermophyton
2. Tinea tonsurans
3. Tinea rubrum
4. Microsporum

Correct answer: 2. Tinea tonsurans

Explanation: Tinea capitis (endothrix) is caused by T.schoenleinii, T.violaceum and T.tonsurans.